Drug of choice for central diabetes insipidus is:
1. Desmopressin
2. Leuprolide
3. Thiazide diuretics
4. Insulin

Correct answer: 1. Desmopressin

Explanation: Ans. (A) Desmopressin(Ref: CMDT 2010/996)*Desmopressin is treatment of choice for central diabetes insipidus.*It acts selectively at V2 receptors to increase urine concentration and decrease urine flow in a dose-dependent manner.*It is also more resistant to degradation than AVP and has a three to fourfold longer duration of action.*Desmopressin can be given by IV or SC injection, nasal inhalation, or oral tablet.